S4 is seen in all of the following, Except:
1. Thyrotoxicosis
2. Acute MI
3. Atrial fibrillation
4. Hypertrophic cardiomyopathy

Correct answer: 3. Atrial fibrillation

Explanation: Answer is C (Atrial Fibrillation) Atrial contraction must be present for production of' S4. It is absent in atrial fibrillation. Thyrotoxicosis. Acute MI, and Hypertrophic cardiomyopathy are all associated with pathological fourth Heart sound (S4). Fourth Heart Sound (S4): Low frequency sound (low pitched)Q It is a diastolic heart sound that occurs shortly before S1 Q It occurs during the phase of ventricular filling and is associated with an effective atrial contraction Atrial contraction must be present for production of an S4Q It is best heard at the apex in the left lateral position It is better heard with the bell of the stethescopeQ Causes of Pathological Fourth Heart sound Fourth Heah Sound (S4), Atrial Diastolic gallop, and Presystolic Gallop: Decreased ventricular compliance Ventricular hypertrophy - Left or right ventricular outflow obstruction - Systemic or pulmonary hypertension - Hypertrophic cardiomyopathy Ischemic heart disease - Angina pectoris - Acute myocardial infarction - Old myocardial infarction - Ventricular aneurysm Idiopathic dilated cardiomyopathy Excessively rapid late diastolic filling secondary to: Vigorous atrial systole Hyperkinetic states - Anemia - Thyrotoxicosis Arteriovenous fistula Acute atrioventricular valve incompetence Arrhythmias Heart block Physiologic S4 may be recordable, but is rarely audible